All of the following are associated with carcinoma colon except -
1. Smoking
2. Alcohol
3. Fibre diet
4. Fatty food

Correct answer: 3. Fibre diet

Explanation: Ans. is 'c' i.e., Fibre dieto Fibre diet is protective against colon cancer (see previous explanations).